Which is the most likely to cause pulp necrosis?
1. Subluxation
2. Extrusion
3. Avulsion
4. Concussion

Correct answer: 3. Avulsion

Explanation: To have pulp space infection, the pulp must first become necrotic. This will occur in a fairly serious injury in which displacement of the tooth results in severing of the apical blood vessels.